An infant presents with 15-20 watery stools since 9 days. Along with Zinc, what else should be given to the patient?
1. ORS alone
2. ORS and low lactose feed
3. ORS with antibiotics
4. ORS with probiotics

Correct answer: 1. ORS alone

Explanation: This child is suffering from acute gastroenteritis (as duration is less than 14 days) Treatment of Acute Gastroenteritis in children: oral rehydration therapy (ORS), zinc supplementation, normal diet.